Primary Hyperaldosteronism can be diagnosed by all of the following criteria, except:
1. Diastolic Hypertension without edema
2. Hyperaldosteronism which is not supressed by volume expansion
3. Low Plasma Renin Activity
4. Metabolic Acidosis

Correct answer: 4. Metabolic Acidosis

Explanation: Class,Triad of Biochemical Criteria for diagnosis of Primary Hyperaldoteronism Hypokalemia with inappropriate kaliuresis (Metabolic alkalosis) Suppressed plasma renin activity Elevated Aldosterone levels that do not fall appropriately in response to volume expansion or sodium load. REF: Harrison book of internal medicine 21ST EDITION